All of the following statements about phagocytosis are true, except
1. Amoeba and other unicellular protozoa make their living out of this
2. Used to ingest particles < 0.5 microns in size
3. Used to ingest particles > 0.5 microns in size
4. Digestion occurs within phagolysosomes

Correct answer: 2. Used to ingest particles < 0.5 microns in size

Explanation: mm Ref:Guyton and Hall textbook of medical physiology 12th edition,page number: 15,16